Certificate for vaccination during international travel is required in case of
1. Japanese Encephalitis
2. Cholera
3. Yellow fever
4. Yellow severe and Cholera

Correct answer: 3. Yellow fever